Paneth cells are mainly found in the bases of the crypts in the small intestine. All of the following are TRUE about Paneth cells, EXCEPT:
1. Rich in rough endoplasmic reticulum
2. High zinc content
3. Foamy cytoplasm
4. Numerous lysozyme granules

Correct answer: 3. Foamy cytoplasm

Explanation: Paneth cells or Zymogen cells:They are located in the basal portion of the intestinal crypts below the stem cells. These are exocrine cells with large, eosinophilic secretory granules in their apical cytoplasm. The granules contain the bactericidal enzyme lysozyme, an arginine-rich protein, and zinc. Paneth cells are contain considerable amount of rough endoplasmic reticulum.